Which organ does not utilise ketone bodies:
1. Liver
2. Brain
3. Skeletal muscles
4. Cardiac muscles

Correct answer: 1. Liver

Explanation: A i.e. Liver